Internal podalic version is used for delivery of?
1. 1st twin
2. 2nd twin
3. Breech presentation
4. All of the above

Correct answer: 2. 2nd twin

Explanation: Ans-B In transverse lie of second fetus of twin. (Ref. Williams Obstetrics 22nd/Ch.39.Fig.39-30)INTERNAL PODALIC VERSION# By this, the fetus is turned to a breech presentation by the operator's hand placed into uterus.# The obstetrician grasps the fetal feet to then effect delivery by breech extraction.# Breech extraction considered superior to external version, as less fetal distress develops.